Due to advances in cancer treatment the prognosis of which of the following has become better?
1. Glioblastoma Multiforme
2. Esophageal Carcinoma
3. ALL in children
4. Cholangiocarcinoma

Correct answer: 3. ALL in children

Explanation: Ans is 'c' i.e. ALL in children "Acute leukemia is the most common form of cancer in children, comprising approximately 30 percent of all childhood malignancies. Of the acute leukemias, acute lymphoblastic leukemia (ALL) occurs five times more commonly than does acute myeloid leukemia (AML). Survival rates for ALL have improved dramatically since the 1980s, with a current five-year overall survival rates estimated at greater than 85 percent. This improvement in survival is due to treatment of a large number of children on sequential standardized research protocols. Successful treatment of children with ALL involves administration of a multidrug regimen that is divided into several phases (ie, induction, consolidation, and maintenance) and includes therapy directed to the central nervous system (CNS)."- quote from above mentioned article